Following is true
1. Psychogenic seizure- Decreased prolactin
2. Organic siezure - normal prolactin
3. Sleep - Increased prolactin
4. Hyperthyroidism - Increased prolactin

Correct answer: 3. Sleep - Increased prolactin

Explanation: (C) Sleep Increased prolactin # HYPERPROLACTINIMIA causes> PHYSIOLOGICAL causes: Stress and exercise (raised endogenous opioids) Stimulation of the nipples Sleep, Idiopathic> Hypothalamus and pituitary Craniopharyngioma Tuberculosis> Hypothyroidims Multiple endocrine disorder (Cushing's syndrome, acromegaly) Pituitary adenomas Resection of pituitary stalk> Drugs: Phenothizines Metoclopramide Methyldopa Reseprine Antidepressants Oestrogens> Others: Renal failure, Cirrhosis